The complications of shoulder presentations are all of the following except:
1. Fetal death
2. Uterine rupture
3. Obstructed labour
4. Shoulder dystocia

Correct answer: 4. Shoulder dystocia

Explanation: In neglected shoulder presentation there is a increased fetal loss due to:

Cord prolapse
Tonic contraction of uterus/obstructed labour
Rupture of uterus

Maternal risk is increased due to: